Which of the following is s/o ATN?
1. FENa <1
2. renal failure index <1
3. blood urea nitrogen/cr ratio <20
4. urine osmolality >1.010

Correct answer: 3. blood urea nitrogen/cr ratio <20

Explanation: Ans c (Blood urea nitrogen/cr ratio<20)Harrison 17 page no: 1756, table 273-2indicespre-renalAINUrine osmolality>500<350Urine sodium<20>40urine/serum creatinine>40<20 >1.2>1.2FENa<1>1Renal failure index<1>1Urine sp gravity>1.020<1 010 :